All of the following muscles are supplied by cranial accessory nerve except
1. Palatopharyngeus
2. Stylopharyngeus
3. Salpingopharyngeus
4. Middle constrictor

Correct answer: 2. Stylopharyngeus

Explanation: All the muscles of pharynx are supplied by the cranial part of accessory nerve (XI) except the stylopharyngeus which is supplied by the Glossopharyngeal nerve